True about polymyositis is -a) Ocular muscle involvementb) Pharyngeal involvementc) Muscle atrophyd) Brisk reflexes common
1. bc
2. c
3. ac
4. ad

Correct answer: 1. bc